Which defense mechanism seen in patients with Hysteria?
1. Displacement
2. Sublimation
3. Dissociation
4. Reaction formation

Correct answer: 3. Dissociation

Explanation: Ans. C. DissociationIn Hysteria pt is not behaving intentionally rather he get dissociated from stressor by developing some motor/sensory complain like pseudoseizure, paralysis blindness etc. subconsciously.